Permittable alcohol level in blood as per motor vehicle act 1988 is below?
1. 30%
2. 40%
3. 50%
4. 60%

Correct answer: 1. 30%

Explanation: Ans. (a) 30%Ref: Forensic medicine by P.V. Guharaj, 2/e, p 397